Which of the following clinical finding is seen in parasomnia?
1. Nocturnal enuresis
2. Night terror
3. Nightmare
4. All of the above

Correct answer: 4. All of the above

Explanation: Parasomnias include sleep terror, nightmares, sleepwalking, and enuresis) are fairly common in children and less so in adults. Sleep terror (pavor nocturnus) is an abrupt, terrifying arousal from sleep, usually in preadolescent boys although it may occur in adults as well. Nightmares occur during REM sleep; sleep terrors in stage 3 or stage 4 sleep. Enuresis is involuntary micturition during sleep in a person who usually has voluntary control. Like other parasomnias, it is more common in children, usually in the 3-4 hours after bedtime, but is not limited to a specific stage of sleep. Sleepwalking (somnambulism) includes ambulation or other intricate behaviors while still asleep, with amnesia for the event. It affects mostly children aged 6-12 years, and episodes occur during stage 3 or stage 4 sleep in the first third of the night and in REM sleep in the later sleep hours. Ref: Eisendrath S.J., Lichtmacher J.E. (2013). Chapter 25. Psychiatric Disorders. In M.A. Papadakis, S.J. McPhee, M.W. Rabow, T.G. Berger (Eds), CURRENT Medical Diagnosis & Treatment 2014.